Most common cause of renal papillary necrosis is
1. Analgesic nephropathy
2. Sickle cell disease
3. Diabetes mellitus
4. Chronic pyelonephritis

Correct answer: 3. Diabetes mellitus

Explanation: Renal papillary necrosis is a form of nephropathy involving the necrosis of the renal papilla. Lesions that characterize renal papillary necrosis come from an impairment of the blood supply and from subsequent ischemic necrosis that is diffuse. In terms of cause, almost any condition that involves ischemia can lead to renal papillary necrosis. A mnemonic for the causes of renal papillary necrosis is (POSTCARDS: pyelonephritis, obstruction of the urogenital tract, sickle cell disease, tuberculosis, cirrhosis of the liver, analgesia/alcohol abuse, renal vein thrombosis, diabetes mellitus, and systemic vasculitis.) Often, a patient with renal papillary necrosis will have numerous conditions acting synergistically to bring about the disease. Refer robbins 9/e936